Disclosure of name of rape victim punishable under:
1. Sec. 304-A IPC
2. Sec. 354 IPC
3. Sec. 376 IPC
4. Sec. 228-A IPC

Correct answer: 4. Sec. 228-A IPC

Explanation: Ans. Sec. 228-A IPC